Confounding factor is associated with:-
1. Exposure only
2. Outcome only
3. Both exposure and outcome
4. Neither exposure nor outcome

Correct answer: 3. Both exposure and outcome

Explanation: Confounding factor Any factor associated with both exposure, outcome and has an independent effect in causation of outcome is a confounder. BEST METHOD TO REMOVE CONFOUNDING:- MATCHING - Removes confounding bias by distributing known confounding factors equally in two groups RANDOMISATION(2ND BEST) RESTRICTION STRATIFICATION STATISTICAL MODELLING/ MULTIVARIATE ANALYSIS STRATIFIED RANDOMISATION (BEST METHOD)